Cherry red colour postmortem appearance is seen in-
1. Cyanide poisoning
2. Phosphorus
3. Arsenic
4. Mercury

Correct answer: 1. Cyanide poisoning

Explanation: (Cyanide poisoning) (8.40-P)Hydrocyanic acid (Cyanogen or prussic acid)*Externally - is the smell of bitter almonds from the body*Postmortem staining is pink often incorrectly referred to as cherry red***Rigor mortis sets in early if there have been convulsive seizures*Internally -*The smell of bitter almonds ***The mucous membrane of the stomach may be pink*Blood stained froth may be found in the trachea and bronchi*The brain and meninges are hyperaemic and petechial hemorrhages appear in the pleura and pericardium*Gastric mucous membrane which may be of a brick red to brown colour due to the formation of alkaline haematin.